Drug used in cancer chemotherapy induced vomiting is?
1. Aprepitant
2. Dexamethasone
3. Ondansetrin
4. All of the above

Correct answer: 4. All of the above

Explanation: Ondansetron is drug of choice for chemotherapy induced vomiting Dexamethasone,lorazepam and aprepitant are also used for chemotharapy induced vomiting.( ref KDT 7/e p876)